KFD is caused by ?
1. Flavivirus
2. Myxovirus
3. Alphavirus
4. Phlebovirus

Correct answer: 1. Flavivirus

Explanation: kyasanur forest disease:- Agent- group B toga virus ( flavivirus). Rats and squirrels- main reservoir Monkeys- amplifier host. Vectors- Haemaphysalis. Age: 20-40 years. Sex- males more Mode of transmission- monkeys and ticks. By th bite of infective ticks. Incubation period- 3-8 days. {Reference: park's textbook of preventive and social medicine, 23rd edition, pg no.289}